Which of the following depicts the cell cycle sequence accurately?
1. G0 - M - G2 - S - G1
2. G0 - G1 - G2 - S - M
3. G0 - G1 - S - G2 - M
4. G0 - G1 - S - M - G2

Correct answer: 3. G0 - G1 - S - G2 - M

Explanation: G0 : Quiescent phase in which cells are not actively dividing. Cell cycle is the sequence of events between two successive mitosis. The multiplying cells pass through four phases: - G1 : Presynthetic growth phase S : Active DNA synthesis G2 : Short resting/pre-mitotic phase M : Mitotic phase The correct sequence of cell cycle is: G0 - G1 - S - G2 - M State Phase Abbreviation Description Resting Gap 0 G0 A phase where the cell has left the cycle and has stopped dividing. Interphase (I) Gap 1 G1 Cells increase in size in Gap 1. The G1 checkpoint control mechanism ensures that everything is ready for DNA synthesis. Synthesis S DNA replication occurs during this phase. Gap 2 G2 During the gap between DNA synthesis and mitosis, the cell will continue to grow. The G2 checkpoint control mechanism ensures that everything is ready to enter the M (mitosis) phase and divide. Cell division Mitosis (M) M Cell growth stops at this stage and cellular energy is focused on the orderly division into two daughter cells.